Dragon or serpent worm is -
1. Enterobius
2. Trichuris
3. Dracunculus
4. T. Solium

Correct answer: 3. Dracunculus

Explanation: Common names - the guinea worm , serpent worm , dragon worm It has now been eradicated from India Adult worms inhabit subcutaneous tissue (refer pgno: 175 baveja 3 rd edition)